In the case of gun-shot injury to skull with entry wound surrounded by abrasion collar and tattooing and an exit wound along with metal fragments of bullet inside the bullet track, what will be preserved for calculating the range of firing?
1. Hair
2. Bullet pieces
3. Blood
4. Clothes

Correct answer: 1. Hair

Explanation: ANS. AHair should be analyzed for presence of any singering or smoke deposits.Clothes can also be used, since skull is mentioned appropriate answer is hair.TraitEntrance woundExit woundSizeSmaller than the diameter of the bullet.In close discharge, skin is tornBigger than the bulletEdgesInvertedEverted, puckered or tornBleedingLessMoreBurning, blackening, tattooingMay be seen around the woundAbsentContusion, abrasion and grease collarPresentAbsentFatNo protrusionMay protrudeTissues within and around the woundMay be cherry-red due to carbon monoxide of explosive gasesAbsentFibers of clothingTurned in and may be carried into the woundTurned outLead ring or metal ringMay be seen around the wound by radiological examinationAbsentSpectrographyMore metal is found around entrance wound, if bullet has only passed through soft tissuesThe exit wound may contain more metal if a bone is struck nearer to it